According to NACO 2011, prevalence of HIV affected people?
1. 0.27
2. 2.14
3. 1.4-1.6
4. 0.53

Correct answer: 1. 0.27